Elevation of mandible causes all muscles EXCEPT
1. Masseter
2. Temporalis
3. Medial pterygoid
4. Lateral pterygoid

Correct answer: 4. Lateral pterygoid

Explanation: (Lateral pterygoid) (145-BDC-3 4th edition )LATERAL PTERYGOID - depress mandible to open mouth with suprahyoid muscles**Muscles producing movements1. Depressionis brought about by lateral pterygoids others muscles like digastrics geniohyoids and mylohyoids helps when mouth is opened wide or against resistance**2. ElevationMasseter, temporalis, and medial pterygoid3. Protrusionby lateral and medial pterygoids4. Retractionby posterior fibres of the tamporales. It may be assisted by masseters, digastrics and geniohyoids5. Lateral or side to side movements,by medial and lateral pterygoids* Most important muscle which opens mouth is- Lateral pterygoids*** In dislocation of the jsw, displacement of the articular disc beyond the articular tubercle of the temporo- mandibular is- Lateral pterygoid*** In temporo-mandibular joint least vascularity is seen in central part of articular disc*** Ligaments of TM J - Fibrous capsule, Lateral or temporo mandibular ligament, spheno mandibular ligament stylomandibular ligament* To give inferior alveolar nerve block the nerve is approached lateral to pterygo-mandibular raphae through medial pterygoid*** Muscles of mastication are - Masseter, Temporalis, Lateral and Medial pterygoid*** Muscles of mastication develops from the first branchial arch and are supplied by mandibular nerve*** Spheno-mandibular ligament- is a remnant of the cephalic (dorsal) end of Meckel's cartilage*** Trismus in quinsy (Peritonsillar abscess) is due to spasm of pterygoid muscle which are in close proximity to the superior constrictor* Longest mucle- Sartorius, Strongest muscle - Masseter Largest muscle - Gluteus maximus - Smallest muscle - Stapedius